Portion of immunoglobulin molecule with molecular weight of 50,000 -
1. Secretory piece
2. H Chain
3. L Chain
4. J piece

Correct answer: 2. H Chain

Explanation: Ans. is 'b' i.e., H chain . The H chain has molecular weight of 50, 000. . The L chain has molecular weight of 25, 000.